The V wave of jugular venous pulses is produced due to:
1. Atrial systole preceding tricuspid valve closure
2. Descent of the tricuspid valve ring
3. Closure of tricuspid valve
4. Passive filing of atrium during ventricular systole

Correct answer: 4. Passive filing of atrium during ventricular systole

Explanation: d. Passive filling of atrium during ventricular systole(Ref: Nelson's 20/e p 2164-2169)Normal waves in jugular venous pulseName ofwaveUnderlying causea waveAtrial contractionc waveTransmission of carotid arterial impulse through jugular veins or by bulging of tricuspid valve cusps into right atrium in early systole.v waveFilling up of Right atrium in late systole and early diastole.x waveAtrium relaxes and tricuspid valve moves downwardy waveFilling of ventricle after tricuspid opening